lxabepilone is
1. lxabepilone is
2. Antineoplastic
3. Antidiarrheal
4. Antihelminth

Correct answer: 2. Antineoplastic

Explanation: Ans. is 'b' i.e., Antineoplastic Ixabepilone o Ixabepilone also known as azaepothilone B. o It has been approved by FDA for the treatment of aggressive metastatic or locally advanced breast cancer which is not responding to standard chemotherapy o It is given in combination with capecitabine. o It has also been investigated for use in treatment of non-Hodgkin's lymphoma. o It acts by binding to tubulin and promoting microtubule stabilization (like taxanes) thereby acting on M phase of cell cycle.